Actinomycosis is caused by:
1. Fungus
2. Acid fast, non-motile bacillus
3. Anaerobic, gram positive, non-acid fast bacteria
4. Retrovirus

Correct answer: 3. Anaerobic, gram positive, non-acid fast bacteria